CH2 transfer reaction is mediated by:
1. Folic acid
2. Butyric acid
3. Vit. 1312
4. None of the above

Correct answer: 1. Folic acid

Explanation: Folic acid